Drug having very narrow therapeutic range is-
1. Lithium
2. Sertraline
3. Roboxetine
4. Dothiepin

Correct answer: 1. Lithium

Explanation: Lithium may also be used to treat alcoholism, schizoaffective disorders, and cluster headaches . Thus, lithium is an indispensable pharmaceutical component of modern psychiatric therapy. Unfortunately, lithium also has a narrow therapeutic index, with therapeutic levels between 0.6 and 1.5 mEq/L Ref Davidson 23rd edition pg 1200